A 6 month old child is suffering from patent ductus arteriosus (PDA) with congestive cardiac failure. Ligation of ductus arteriosus was decided for surgical management. The most appropriate inhalational anaesthetic agent of choice with minimal haemodynamic alteration for induction of anaesthesia is:
1. Sevoflurane
2. Isoflurane
3. Enflurane
4. Halothane

Correct answer: 1. Sevoflurane

Explanation: A i.e. Sevoflurane Sevoflurane is the agent of choice for inhalational induction in pediatric patientQ. Desflurane isoflurane are not used for induction because theyr are more pungent & are associated with more coughing, breath holding & laryngospasm during an inhalational induction.